Features of Raynaud's disease are all except
1. Common in young females
2. Commonly unilateral
3. Repeated attacks occur
4. Peripheral pulses are normally felt

Correct answer: 2. Commonly unilateral

Explanation: Raynaud's disease is usually Bilateral.